Puerperium lasts for:
1. 4 weeks
2. 5 weeks
3. 6 weeks
4. 7 weeks

Correct answer: 3. 6 weeks

Explanation: Ans. C i.e. 6 weeks Puerperium Puerperium lasts for: 6 weeks after delivery Uterus becomes a pelvic organ after: 2 weeks of delivery Involution of uterus is complete by: 6 weeks MC cause of puerperial infection: Streptococcus MC route of spread of puerperial infection: Direct spread